During ventricular pressure pulses square root wave is seen in
1. ASD
2. MVPS
3. Dilated cardiomyopathy
4. Constrictive pericarditis

Correct answer: 4. Constrictive pericarditis

Explanation: Ref Harrison 19 th ed pg 1576 constrictive pericarditis, the ventricular pressure pulses in both ventricles exhibit characteristic "square root" signs during diastole. These hemodynamic changes, although characteristic, are not pathognomonic of constrictive pericarditis and may also be observed in restrictive cardiomyopathies.